Postmortem caloricity may be seen in all the following causes of death except:
1. Septicemia
2. Barbiturates poisoning
3. Strychnine poisoning
4. Tetanus

Correct answer: 2. Barbiturates poisoning

Explanation: Ans. is 'b' ie Barbiturates poisoning (Ref: Reddy, 24/e, p126; Parikh, 6/e p3.9).Postmortem Caloricity is the condition, in which the temperature of the body remains raised for the first two hours or so after death.Conditions:-when the regulation of heat production has been severely disturbed before death.Sunstroke.Pontine hemorrhage.When there has been a great increase in heat production in muscles due to convulsions.Tetanus.Strychnine poisoningAcute bacterial or viral infections.Septicemia.Lobar pneumonia.Typhoid fever.Encephalitis and encephalomyelitis.Cholera etc.